True statement about IUGR is -
1. Hepatomegaly is due to fatty infiltration
2. Head circumference is 3 cm more than chest circumference
3. Hyaline membrane disease is a common cause of death
4. Hypothermia does not occur due to good shivering mechanisms

Correct answer: 2. Head circumference is 3 cm more than chest circumference

Explanation: Ans. is 'b' i.e., Head circumference is 3 cm more than chest circumference IUGR is synonymous with small for gestational age infants ? Malnourished small for dates (Commonest variety of IUGR infants) some important features are - o The difference in the head and chest circumferences is more than 3 cm. o Internal organs like Liver, thymus and lungs are shrunken, although pulmonary alveoli appear mature. (i.e. No Hepatomegaly) o Pulmonary alveoli are mature; patient is not premature but only LBW or SFD --> No ARDS